Sine wave pattern on ECG is done when serum potassium exceeds mEq/dl?
1. > 6 mEq/dl
2. > 7 mEq/dl
3. > 8 mEq/dl
4. > 10 mEq/dl

Correct answer: 3. > 8 mEq/dl

Explanation: Answer- C. > 8 mEq/dlSine wave pattern- > 8 mEq/dl